Inguinal ligament is formed due to:
1. External oblique aponeurosis
2. Transversus abdominis
3. Internal oblique aponeurosis
4. Inguinal muscle

Correct answer: 1. External oblique aponeurosis

Explanation: Ans. A External oblique aponeurosis# Inguinal ligament is a fibrous, thickened, folded margin of the external oblique aponeurosis.# It extends from anterior superior iliac spine to pubic tubercle.